Nodular tags of hymen in the post pregnancy period are called
1. Carunculaemyiformes
2. Vestibulaemyiformes
3. Orficiaemyiformes
4. Carunculaeorificies

Correct answer: 1. Carunculaemyiformes

Explanation: Ans is 'a' i.e., CarunculaemyiformesThe hymen can stretch or tear as a result of various behaviours, by tampon or menstrual cup use, pelvic examinations with a speculum, regular physical activity, sexual intercourse, insertion of multiple fingers or items into the vagina, and activities such as gymnastics (doing 'the splits'), or horseback riding.Remnants of the hymen are called carunculaemyiformes.